Gastric lavage is contraindicated in
1. Sulphuric acid
2. Organophosphorus
3. Arsenic
4. Dhatura

Correct answer: 1. Sulphuric acid

Explanation: (Sulphuric acid): (480- Reddi 31st edition; 8.13 -Parikh 6th7ed)Only absolute contraindicated is corrosive poisoning (eg sulphuric acid) EXCEPT carboxic acid owing to the danger of perforationComplications1. Laryngeal spasm2. Aspiration pneumonitis3. Perforation of stomach4. Sinus bradycardiaIn the following conditions stomach wash can be done by taking proper precautions1. Convulsant poisons strychnine poisoning as it may lead to convulsions Lavage should be done after controlling the convulsions2. Comatose patient - because of the risk of aspiration of fluid into the air passages. The airway should be sealed by cuffed endotracheal tube (8 to 9mm) and lavage done3. Volatile poisons Kerosene which may be inhaled4. Upper alimentary disease eg oesophageal varices5. In patient with marked hypothermia and haemorrhagic diathesis